All of them use tonsillectomy as important step except
1. Transection of Glossopharyngeal nerve
2. Eagle's syndrom
3. In Treating sleep apnoea
4. Transection of vagus Nerve

Correct answer: 4. Transection of vagus Nerve